A child has recently developed mouthing but has not developed stranger anxiety, likes and dislikes for food. What is the most appropriate age of this child?
1. 3 months
2. 5 months
3. 7 months
4. 9 months

Correct answer: 2. 5 months

Explanation: Since the child in question has developed mouthing (develops between 3-6 months) but has not yet developed stranger anxiety or likes and dislikes for food which are developed at 7-8 months and in first year of life respectively, the appropriate age of this baby should be 5 months. Ref: Early Years: Child Care and Education, By Maureen O'Hagan, Maureen Smith - Pg 16; Nelson 17th Edition, Page 34, 82; Essential Pediatrics, OP Ghai - 6th Edition, Page 44, 47